Drugs causing pharmacological adrenalectomy are all except
1. Ketoconozole
2. Mitotane
3. Aminoglutethemide
4. Methotrexate

Correct answer: 4. Methotrexate

Explanation: Aminoglutethimide, Ketoconazole, Mitotane, Trilostane, Metyrapone inhibits synthesis of steroids Pharmacological adrenelectomy refers to mimicking a situation of adrenelectomy where the complete synthesis of corticosteroids is stopped by using drugs line glucocorticoid synthesis inhibitors. Ref: Katzung 11th ed pg 695.